Pink disease is seen in poisoning with ?
1. Mercury
2. Lead
3. Cadmium
4. Phosphorous

Correct answer: 1. Mercury

Explanation: Ans. is 'a' i.e., Mercury Pink disease or Acrodvnia It is thought to be an idiosyncratic hypersensitivity reaction particularly seen in children. This can be caused by chronic mercury exposure in any form usually in children. The onset is insidious with anorexia, insomnia, sweating, skin rash and photophobia. Hands and feet become puffy, pinkish, painful, paraesthetic with peeling of skin. Teeth may be shed.